Ramesh 40 yrs male patient presenting with polyuria, pain abdomen, nausea, vomiting, altered sensorium was found to have bronchogenic carcinoma. The electrolyte abnormality seen in him would be:
1. Hypokalemia
2. Hyperkalemia
3. Hypocalcaemia
4. Hypercalcemia

Correct answer: 4. Hypercalcemia

Explanation: Answer is D (Hypercalcemia): Presence of polyuria, abdominal pain, and general symptoms such as nausea, vomiting and altered sensorium in a patient with bronchogenic carcinoma suggest a diagnosis of hypercalcemia secondary to paraneoplastic syndrome from PTII related peptide production.